If a patient was immunized with hepatitis B vaccine, which of the following is seen in serum?
1. HBeAg
2. FIBSAg
3. Anti-HBs antibody
4. Anti-HBe antibody

Correct answer: 3. Anti-HBs antibody

Explanation: Ans. (c) Anti-HBs antibody